Proliferation and survival of myeloma cells are dependent on which of the following cytokines?
1. IL-1
2. IL-6
3. IL-2
4. IL-5

Correct answer: 2. IL-6

Explanation: IL-6 helps in survival and proliferation of myeloma cells Other options: IL 5 - chemoattractant for eosinophils IL-1 - recruits leukocytes and thus induces inflammation IL-2 - a growth factor for T lymphocytes